Modiolus (apex) is directed
1. Anterolateral - superior
2. Anterolateral - inferior
3. Posteromedial superior
4. Poster() medial - inferior

Correct answer: 2. Anterolateral - inferior

Explanation: B i.e. Anterolateral - inferior